Mesial slope of distobuccal cusp of maxillary first
molar meets its distal slope at ______________ angle
1. Acute angle
2. No specific angle
3. Obtuse angle
4. Right angle

Correct answer: 4. Right angle